ECG features of Athlete's Heart include all of the follow ing except-
1. High QRS voltage
2. Early repolarization
3. Tall peaked T wave
4. Shortened QT interval

Correct answer: 4. Shortened QT interval

Explanation: Ans. is 'd' i.e., Shortened QT interval o Athletes Heart is associated with a prolonged QT interval and not a shortened QT intenal.o Athlete's Heart is usually associated with a prolonged QT interval because of bradycardia. When corrected for heart rate the QT interval (QT) is usually at the upper limit.Normal ECG findings in athleteso These common training-related ECG alterations are physiological adaptations to reqular exercise, considered normal variants in athletes and do not require further evaluation in asymptomatic athletes.Sinus brady'cardia (> 30 bpm)Sinus arrhythmiaEctopic atrial rhythmJunctional escape rhythm1deg AV block (PR interval > 200 ms)Mobitz type I (Wenckebach) 2degAVblockIncomplete RBBBIsolated QRS voltage criteria for L VH (High QRS voltage)Except: QRS voltage cirteria for L VH occurring with any non-voltage cirteria for LVH such as left atrial enlargement, left axis deviation, ST segment depression, T-wave inversion or pathological Q waves.Early repolarisation (ST elevation, J-point elevation, J-waves or terminal QRS slurring).Convex ('domed') ST segment ele\>ation combined with T-wave inversion in leads V1-V4 in black/African athletes.Tall peaked TwavesProminent u wavesT wave flattening or inversion that normalizes with exercise